Delirium tremens is seen in:
1. Alcohol withdrawl
2. Alcohol overdoses
3. Morphine poisoning
4. Atropine poisoning

Correct answer: 1. Alcohol withdrawl

Explanation: Ans. A i.e. Alcohol withdrawl